All are minor Jones criteria except -
1. Arthralgia
2. Fever
3. Prolonge PR interval
4. Chorea

Correct answer: 4. Chorea

Explanation: Ans. is 'd' i.e., Chorea Guidelines for the Diagnosis of Initial Attack of Rheumatic Fever (Jones Criteria, Updated 1992) Major Manifestations Minor Manifestations Supporting evidence of antecedent group A streptococcal infection Carditis Clinical features: Positive throat culture or rapid streptococcal antigen test Polyarthritis Arthralgia Fever Elevated or increasing streptococcal antibody titer Erythema marginatum Laboratory features: Subcutaneous nodules Elevated acute phase reactants: Erythrocyte sedimentation rate C-reactive protein Prolonged PR interval Chorea o From Jones criteria. updated 1992. JAMA 1992:268:2069-2073. Copyright American Medical Association. * The presence of 2 major or of I major and 2 minor manifestations indicates a high probability of acute rheumatic fever if supported by evidence of preceding group A streptococcal infection.